Amount of ORS to be given in the first 4 hours to a child with some dehydration is
1. 50 ml/kg body wt.
2. 75 ml/kg body wt.
3. 100 ml/kg body wt.
4. 200 ml/kg body wt.

Correct answer: 2. 75 ml/kg body wt.

Explanation: Treatment plan B: in case of some dehydration 75 ml/kg of ORS in the first 4 hours.use child's age when you donot know the weight. The signs of dehydration disappears in 4 hours.after this maintainance fluid therapy can be done. Ref : ESSENTIAL PEDIATRICS,O.P.GHAI,PG NO:265,7 th edition